Pain in endometriosis correlates with:
1. Depth of invasion
2. Multiple sites
3. CA 125
4. Stage of disease

Correct answer: 1. Depth of invasion

Explanation: Ans. is a, i.e. Depth of invasionRef: Leon Speroff, 8/ed, pl230-1231"The intensity of pain associated with deeply infiltrating endometriosis relates to the depth of penetration and to the proximity or direct invasion of nerves". - Ref: Leon Speroff, 8th/ed, pl230"However there is no relationship between stage, site or the morphological characteristic of pelvic endometriosis and pain". - Ref: Leon Speroff, 8th/ed, pi231